Prolonged calcium hydroxide therapy for root resorption causes risk of:
1. Cervical root fracture.
2. Apical third fracture.
3. Middle third fracture.
4. None of the above.

Correct answer: 1. Cervical root fracture.

Explanation: Cervical root resorption is the best answer among the option but if in options vertical root fracture is given then go for vertical root fracture.